Neostigmine used in treatment of Myasthenia gravis acts by
1. Increasing the number of receptor for acetylcholine
2. Increasing synthesis of acetylcholine
3. Decreasing breakdown of acetylcholine
4. Increasing acetylcholine degradation

Correct answer: 3. Decreasing breakdown of acetylcholine

Explanation: Refer kDT 6/e p 101 In most people with myasthenia gravis, the immune system blocks or damages these acetylcholine receptors. The acetylcholine cannot then attach to the receptor and so the muscle is less able to tighten.Neostigmine works by slowing the breakdown of acetylcholine when it is released from nerve endings.